Pedicle TRAM flap derives its blood supply from ?
1. Inferior epigastric vessels
2. Superior epigastric vessels
3. Circumflex
4. Internal pudendal vessels

Correct answer: 2. Superior epigastric vessels

Explanation: Pedicle TRAM flap is used in breast reconstruction Pedicle TRAM flap derives its blood supply from superior epigastric vessels TRAM: controlateral transverse rectus abdominis muscle flap Ref; (page no; 562) 5th edition of SRB'S manual of Surgery